True regarding acetazolamide is ?
1. Irreversible inhibitor of carbonic anhydrase
2. Structural resemblance to sulfonamides
3. It decreases Na, K, Glucose excretion
4. It causes metabolic alkalosis

Correct answer: 2. Structural resemblance to sulfonamides

Explanation: Ans. is 'b' i.e., Structural resemblance to sulfonamides o Acetazolamide is sulfonamide derivatives and, like other sulfonamides, may cause bone marrow depression, skin toxicity, sulfonamide like renal lesions, and allergic reactions in patients hypersensitive to sulphonamides. o Acetazolamide is reversible inhibitor of carbonic anhydrase. o It causes metabolic acidosis (net alkalosis). o K' excretion is increased.